Fracture of surgical neck of humerus leads to loss of abduction movement of the corresponding shoulder joint due to injury of:
1. Radial nerve
2. Musculo cutaneous nerve
3. Axillary nerve
4. Median nerve

Correct answer: 3. Axillary nerve

Explanation: Axillary nerve